In a case of glottic carcinoma with fully mobile cords, the treatment of choice is -
1. Total laryngectomy
2. Radiotherapy
3. Hemilaryngectomy
4. Chemotherapy

Correct answer: 2. Radiotherapy